All of the following causes decrease in CMRO2, CBF and ICP except:-
1. Thiopentone
2. Propofol
3. Ketamine
4. Etomidate

Correct answer: 3. Ketamine

Explanation: Ketamine increases CMRO2, CBF and ICP because it is sympathomimetic. CBF ICP CMRO2 Seizure Thiopentone ||| ||| ||| ||| Ketamine || || | | propofol ||| ||| ||| | etomidate ||| ||| ||| |